Opium is a derivative of:
1. Solanum tuberosum
2. Datura stromonium
3. Papaver somniferum
4. Nicotiana tobacum

Correct answer: 3. Papaver somniferum